All are Responsibilities of ASHA except
1. Immunisation
2. Primary medical care for minor ailments
3. Contraception conselling
4. Delivery at home

Correct answer: 4. Delivery at home